Oculus Dexter refers to
1. Left Eye
2. Right Eye
3. Both Eyes
4. None of the above

Correct answer: 2. Right Eye

Explanation: Ans. (b) Right EyeRef: Oxford American Handbook of Ophthalmology (Oxford University Press) 2010/XVIII; Clinical Examination in Ophthalmology by Mukherjee (Elsevier India, 2009) p. 22AbbreiationNameRefers ToODOculus DexterRightOSOculus SinisterLeft EyeouOculus UterqueBoth Eyes